The concentration of methemoglobin to cause cyanosis-
1. 5 gm/dl
2. 2 gm/dl
3. 1.5 gm/dl
4. 12 gm/dl

Correct answer: 3. 1.5 gm/dl

Explanation: For Cyanosis to occur,
Sulfhemoglobin should be equal or more than 0.5gm/dL
Methemoglobin should be equal or more than 1.5gm/dL
Deoxygenated hemoglobin should be equal or more than 5gm/dL